The serum concentration of which of the following human IgG subclass is maximum?
1. IgG1
2. IgG2
3. IgG3
4. IgG4

Correct answer: 1. IgG1

Explanation: IgG comprises about 75 to 85% of total serum immunoglobulinThe four IgG subclasses are numbered in order of their level in serumIgG1 is found in greatest amounts and IgG4 the least (Ref: Harrison's 18/e p2036)